Inflammatory changes in the soft tissue surrounding an implant is diagnosed as
1. Peri-implant gingivitis
2. Peri-implantitis
3. Peri-implant mucositis
4. Peri-implantosis

Correct answer: 3. Peri-implant mucositis